Which of the following is the longest acting Beta-blocker
1. Esmolol
2. Sotalol
3. Carvedilol
4. Nadalol

Correct answer: 4. Nadalol

Explanation: Nadolol is a non-selective b-adrenergic antagonist that lacks intrinsic sympathomimetic activity and membrane-stabilizing properties. Graeme Alexander, in Clinical Pharmacology (Eleventh Edition), 2012